Barr body is found in the following phase of the cell cycle
1. Interphase
2. Metaphase
3. GI phase
4. Telophase

Correct answer: 1. Interphase

Explanation: Inactivated X chromosomes seen in female somatic cells are called Barr-bodies which are present adjacent to the nuclear membrane. In humans with more than one X chromosome, the number of Barr bodies visible at interphase is always one fewer than the total number of X chromosomes.